Broad cast is characteristic of -
1. CRF
2. Ac GN
3. ARF
4. Renal TB

Correct answer: 1. CRF

Explanation: Ans. is 'a' i.e., CRFHyaline casts ?o These are the most common type of casts and they can be found in normal urine samples.o They consists almost entirely of Tamm Horsfall protein.o Zero-to Two hyaline casts per low power field is considered normal.o Increased numbers of Hyaline casts can occur with exercise, heat exposure, dehydration, fever, congestive heart failure and diuretic.Renal tubular epithelial cell casts ?o These casts results when the epithelial cells of the renal tubules are being excreted along with the casts. o Renal tubular epithelial casts are most suggestive of tubular injury as in acute tubular necrosis.o They are also found in other disorders including eclampsia, heavy metal poisoning, ethylene glycol intoxication(most of these cases lead to acute tubular necrosis).Granular casts ?o These casts are fairly common and occur in both pathological and non pathological condition.o Granular casts can result either from the breakdown of cellular casts to a point where the cells that once were withinthem are no longer distinguishable or they can result from the inclusion of aggregates of plasma proteins, fibrinogenor immune complexes within the cast upon formation.o They can be further divided into coarse granular casts and fine granular casts.o Fine granular casts can appear in non pathological conditions such as vigorous exercise, but the presence of coarse granular cast is abnormal and presents in wide variety of clinical diseases.o They are common in renal parenchymal disease.Broad casts ?These casts ori inate rom dilated chronicall dama ed tubules or the collec in ducts there ore the are called renal failure casts. o These are formed in collecting duct as a result of urinary stasis.o Broad casts are two to six times the size of other types of casts.o Broad casts or renal failure casts are usually seen in patients with advanced renal failure.Waxy casts ?o Waxy casts are cylinders of smooth highly refractive material.o Waxy casts are seen in final stages of degeneration of fine granular casts. Since the granules need time to degrade, this implies nephron obstruction.o Waxy casts are seen in chronic renal diseases associated with renal failure seen in diabetic nephropathy, malignant hypertension, glomerulonephritis.